Gottron's papules are -
1. Erythematous papules on cheeks
2. Erythema seen over elbows and knees
3. Periorbital lesions
4. Violaceous papules over knuckles

Correct answer: 4. Violaceous papules over knuckles

Explanation: Gottrons papules- violaceous papules on bony prominences of hands( metacarpophalangeal joints, inter phalangeal joints. Evolve to depressed strophic porcelain white centres with telengiectasia. gottrons sign is presence of symmetric violaceous erythematous macules or plaques over same distribution as gottrons papules. References IADVL textbook of dermatology page1248